All of the following are visual agnosias arising from a defect in the ventral or 'What Pathway', except
1. Cerebral Achromatopsia
2. Prosopagnosia
3. Pure Alexia
4. Akinetopsia

Correct answer: 4. Akinetopsia

Explanation: Akinetopsia arises from a defect in the Dorsal, or "Where?" Pathway. Disorders of the ventral or "What Pathway" Ventral Pathway is known as the "What Pathway" of vision for its role in object recognition Disorders of the Dorsal, or "Where Pathway" Dorsal Pathways is known as the "Where pathway" of vision its role determining object's position in space. Object agnosia Cerebral Achromatopsia Prosopagnosia Topographagnosia Pure Alexia Akinetopsia Simultanagnosia Optic Ataxia The visual Agnosia and Related Disorders: Visual agnosia is an impairement in recognition of visually presented objects. It is not due to a deficit in vision (acuity, visual field and scanning), language, memory or intellect. Disorders arising from a defect in the dorsal, or "Where?", pathway Akinetopsia: Akinetopsia also known as cerebral akinetopsia or motion blindness is a neuropsychological disorder in which a patient cannot perceive motion in their visual field, despite being able to see stationery objects without issue. Simultanagnosia: (or Simultagnosia) : is a rare neurological disorder characterized by the inability of an individual to perceive more than a single object at a time. Optic Ataxia: (Component of Balint's Syndrome): Optic Ataxia is a type of ataxia where the patient is not able to guide his/her hand towards an object with the help of visual information. Patients with optic Ataxia are unable to move their hand to reach or grab an object by using vision. Ref: The visual Agnosias and related disorders. J. Neuroophthalmol 2017